Lanatoprost used topically in glaucoma primarily acts by:
1. Decreasing aqueous humour formation
2. Increasing uveoscleral outflow
3. Releasing pupillary block
4. All

Correct answer: 2. Increasing uveoscleral outflow

Explanation: B i.e. Increased uveoscleral outflow Prostaglandin analogues (e.g. latanoprost Q, unprostone, bimatoprost, travoprost) lower intraocular pressure by stimulating a prostanoid receptor in ciliary muscle. This causes the release of matrix metalloproteinases and increase the uveoscleral outflow. Q Latanoprost lower IOP by 25-30% (equivalent to effect produced by timolol). Common side effects are conjunctival hyperaemia, superficial punctate keratopathy & pigmentation. Prostaglandin analogues and pilocarpineQ are contraindicated in inflammatory glaucoma (e.g. glaucoma with uveitis, hypertensive uveitis syndrome) Q. Prostaglandin analogues are 2nd drug of choice after )6 blocker in treatment of open angle glaucoma Q